Which of the following is high energy phosphate bond (produce ATP on hydrolysis)a) F-6-phosphateb) Creatine phosphatec) Carbamoyl phosphated) Glucose-1 -phosphatee) Glucose-6-phosphate
1. bc
2. c
3. ac
4. ad

Correct answer: 1. bc

Explanation: High energy compounds are:-


Phosphate compounds:- Nucleotides (ATP, GTP, UTP, UDP-glucose), creatinine phosphate, arginine phosphate, 1, 3-bisphosphoglycerate, phosphoenolpyruvate, inorganic pyrophosphate, carbamoyl phosphate, aminoacyl adenylate (aminoacyl AMP).
Sulfur  compounds :- CoA derivatives (acetyl CoA, succinyl CoA, fatty acyl CoA, HMG CoA), S-adenosyl methionine (SAM), adenosine phosphosulfate.